Banana sign seen in the foetal brain suggests –
1. Renal agenesis
2. Encephalocele
3. Spina bifida
4. Porencephaly

Correct answer: 3. Spina bifida